WBC cast is seen in ?
1. Pyelonephritis
2. Glomerulonephritis
3. Chronic renal failure
4. Hyaline cast

Correct answer: 1. Pyelonephritis

Explanation: Ans. (a) PyelonephritisCauses of WBC castsCauses of RBC Casts* Acute pyelonephritis* Interstitial nephritis* Lupus nephritis* Acute Glomerulonephritis* Goodpasture Syndrome* Lupus nephritis* Renal infarction* Right sided heart failure* Renal vein thrombosis* Polyarteritis Nodosa